Sildenafil acts by -
1. Increasing cGMP
2. Decreasing cGMP
3. Increasing cAmp
4. Decreasing cAmp

Correct answer: 1. Increasing cGMP

Explanation: Ans. is 'a' i.e., Increasing cGMP * Sildenafil has been explained in previous sessions